The antimalignancy drug which is potentially cardiotoxic is:
1. Doxorubicin
2. Bleomycin
3. Fluororacil
4. Dacarbazine

Correct answer: 1. Doxorubicin

Explanation: Daunorubicin (Rubidomycin), Doxorubicin): These are antitumour antibiotics with quite similar chemical structures. However, utility of daunorubicin is limited to acute leukaemia (in which it is highly active) while doxorubicin, in addition, is effective in many solid tumours. They are capable of causing breaks in DNA strands by activating topoisomerase II and generating quinone type free radicals. They have mutagenic and carcinogenic potential. Maximum action is exerted at S phase, but toxicity is usually exhibited in G2 phase. Both these antibiotics produce cardiotoxicity as a unique adverse effect. This can manifest either acutely with ECG changes, arrhythmias and hypotension which are reversible, or be delayed-congestive heart failure (related to the totaldose administered). CHF is due to cardiomyopathy and may be fatal. Marrow depression, alopecia, stomatitis, vomiting and local tissue damage (on extravasation) are other adverse effects. ESSENTIALS OF MEDICAL PHARMACOLOGY K.D.TRIPATHI SIXTH EDITION PAGE NO:826